Example of radiation-induced cancer is -
1. Papillary carcinoma thyroid
2. Follicular carcinoma thyroid
3. Lymphoma
4. Hepatoma

Correct answer: 1. Papillary carcinoma thyroid

Explanation: Radiation-induced cancers
Leukemias
Breast Carcinoma
Papillary carcinoma of the thyroid
Squamous cell and Basal cell carcinoma of skin